Oro-oculo-genital syndrome occurs due to
1. Vit. A deficiency
2. Vit. B1 deficiency
3. Vit. B2 dificiency
4. Nicotininc acid dificiency

Correct answer: 3. Vit. B2 dificiency